TRH stimulation testing is useful in diagnosis of:
1. Insulin
2. ACTH
3. Growth hormone
4. PTH

Correct answer: 3. Growth hormone

Explanation: Ans. (c) Growth hormone(Ref: Ganong, 25th ed/p.339)TRH stimulation test is useful in diagnosis of disorders of#Prolactin#Growth hormone